The Halstead Retain battery involves all except :
1. Finger oscillation
2. Constructional praxis
3. Rhythm
4. Actual performance

Correct answer: 2. Constructional praxis

Explanation: In Halstead - Reitan battery test, the battery is composed of ten tests :

Category test.
Tactual performance test.
Rhythm test.
Finger - oscillation test.
Speech-sound perception test.
Trail - making test.
Critical flicker frequency.
Time sense test.
Aphasia screening test.
Sensory - perceptual test.